For assembling cohorts for Cohort study, all of the following considerations are considered except
1. The cohort must be free from the disease under the study
2. Study and control cohorts should be equally susceptible to disease under study
3. Both groups should be comparable in respect of all the possible variable
4. The diagnostic and eligibility criteria of the disease must be defined after the starting of research

Correct answer: 4. The diagnostic and eligibility criteria of the disease must be defined after the starting of research

Explanation: The diagnostic and eligibility criteria of the disease must be defined beforehand; this will depend upon the availability of reliable methods for recognizing the disease when it develops. The groups are followed, under the same identical conditions, over a period of time to determine the outcome of exposure in both the groups. Remaining all options are considerants of cohort study.